"CARE " stands for
1. Coordination and research everywhere
2. Cooperative for assistance and relief everywhere
3. Cure and relief everywhere
4. Cooperation and research everywhere

Correct answer: 2. Cooperative for assistance and relief everywhere

Explanation: CARE (Cooperative for Assistance and Relief Everywhere) provides emergency aid and long-term development assistance.CARE-India focused its food support in the ICDS programme and in development programmes in the areas of health and income supplementation.Park 23e pg: 924